Clutton's joint are
1. Syphilitic joints
2. End stage Tuberculous joints
3. Associated with trauma
4. Usually painful

Correct answer: 1. Syphilitic joints